Phenobarbitone is used in -
1. Organophosphate poisoning
2. Carbamate poisoning
3. Neonatal jaundice
4. Phenol poisoning

Correct answer: 3. Neonatal jaundice

Explanation: Ans. is 'c' i.e., Neonatal jaundice Phenobarbitone* Phenobarbitone is a long acting barbiturate.* Barbiturates induce several hepatic microsomal enzymes and increase the rate of metabolism of other drugs.* This property of phenobarbitone can be used as an adjuvant in treatment of neonatal jaundice.* In cases of unconjugated hyperbilirubinemia, phenobarbitone induces liver microsomal enzymes, which convert it into conjugated bilirubin and is excreted in urine. Thus it can be used in cases of neonatal jaundice.Other Uses of Phenobarbitone* Phenobarbitone is one of the cheapest and least toxic antiepileptics.* It has broad spectrum efficacy in generalized tonic - clonic (GTC), simple partial (SP) and complex partial (CP) seizures.* However, it has become less popular than carbamazepine, phenytoin or valproate.* Status epilepticus: Phenobarbitone may be injected im or i.v but response is slow to develop.* It is not effective in absence seizures.